Auditory fatigue is seen at
1. 90 dB, 4000Hz
2. 110 dB, 4000Hz
3. 130 dB, 4000Hz
4. 150 dB, 4000Hz

Correct answer: 1. 90 dB, 4000Hz

Explanation: Auditory fatigue occurs at 90dB, 4000Hz. 90dB for 8hour a day for 5weeks is the maximum safe limit. (Ref: Diseases of EAR, NOSE AND THROAT by PL DHINGRA - 6th Edition)